Which of the following is False about Red Cross emblem-
1. It came into existence in 1863 in Geneva meet
2. The vertical and horizontal lines are of equal lengths
3. It is used by members of UNO
4. Use of red cross symbol without permission of government of India is a punishable offence in India

Correct answer: 3. It is used by members of UNO

Explanation: Ans. is `c' i.e., It is used by members of UNO Emblems of lin ernational Red Cross and Red Crescent Mo. merit o Emblems simply means symbols. o The emblems (symbols) of International Red Cross and Red Crescent Movement are to be placed on Armed Forces Medical Services (humanitarian & medical vehicles, and buildings) to protect them from military attack on the battlefield. o There are four such emblems :? 1. The Red cross The Red cross on white background was the original protection symbol declared at the 1864 Geneva convention. There is an unofficial agreement within the Red Cross and Red Crescent Movement that the shape of the cross should be a cross made up of 5 squares. (Horizontal and vertical lines are equal). However, regardless of shape. any Red Cross on white background should be valid and must be recognized as a protection symbol in conflict. o Of the 186 national societies which are currently recognized by ICRC, 152 are using the Red Cross as their official organization emblem. 2. Red crescent Red crescent on white background is used by 33 of the 186 recognized societies world wide. 3. Red crystal (the third protocol emblem) o On 22 June 2006 the ICRC announced that the International Red Cross and Red Crescent Movement adopted the Red Crystal as additional emblem for use by the National societies. 4. Red Lion and Sun No longer in use o All these emblems (symbols) are under the Geneva conventions. kuthorimi users of emblems 3 The authorized users of emblems are ? 1) The armed forces medical services, their personnel units, installations and means of transport. ii) !CRC (International cornmitte of Red Cross) iii) I FRC (International Federation of Red Cross & Red Crescent Socies) iv) National Red Cross Society. v) First Aid centers that offer totally free medical assistance & are authorized by National Red Cross / Red Crescent Society. Misuse of emblems o Misuse of emblems is prohibited under the 4 Geneva Conventions of 1949. o Under the Indian Law (Geneva conventions Act, 1962), the abuse of the emblems is a pubishable offence. The punishment is a fine of Rs. 500, besides the provision for forfeiture of the goods or vehicles on which the emblem has been used without authorization.